Thymoma is associated with-
1. Myasthenia gravis
2. Polycythemia
3. Ectopic ACTH
4. Polyarteritis nodosa

Correct answer: 1. Myasthenia gravis

Explanation: Ans. is 'a' i.e., Myasthenia gravis o Thymomas are associated with a wide variety of paraneoplastic disorders the most common of which is mvaesthenia graviso Mvaesthenia eravis is seen in about 30-40% cases of ThymomaParaneoplastic syndromes associated with ThymomaAutoimmuneEndocrine disordersNeuromuscular syndromeHematological disorderso Systemic lupuso Addison s diseaseo Myasthenia graviso Red cell aplasiaerythematosiso Hyperthyroidismo Eaton lambert syndromeo Hypogamma globuline-o Polymyositiso Hyperparathyroidismo Myotonic dystrophymiao Myocarditiso Panhypopituitarismo Myositiso T-cell deficiency>o Sjogren s Syndrome syndromeo Ulcerative colitis o Pancytopeniao Hashimotos thyroiditis o Erythrocytosiso Rheumatoid arthritis o Amegakargocytico Sarcoiffosis thrombocytopeniao Scleroderma Miscellaneouso Hypertrophic pulmonary osteoarthropathyo Nephrotic syndromeo Minimal change nephropathyo Pemphiguso Chronic mucocutaneous candidiasis